Interferon is...in nature -
1. Protein
2. Lipid
3. Polysaccharides
4. All of the above

Correct answer: 1. Protein

Explanation: IFN – α → Non glycosylated protein
IFN – β → Glycoprotein
IFN – γ → Glycoprotein